All among the following radioisotope are used as permanent implant except:
1. Iodine-125
2. Palladium-103
3. Gold-198
4. Caesium-137

Correct answer: 4. Caesium-137

Explanation: Caesium-137 is not used as permanent implant for Brachytherapy Permanent implants for brachytherapy Iodine-125 Palladium-103 Gold-198 Caesium-131